Most common cause of posterior staphyloma-
1. Hypermetropia
2. Glaucoma
3. Myopia
4. conjunctivits

Correct answer: 3. Myopia

Explanation: Posterior staphyloma. It refers to bulge of weaksclera lined by the choroid behind the equator . Here again the common causes are pathologicalmyopia, posterior scleritis and perforating injuries. Itis diagnosed on ophthalmoscopy. The area isexcavated with retinal vessels dipping in it (just likemarked cupping of optic disc in glaucoma) Its floor is focussed with minus number lenses inophthalmo-scope as compared to its margin. REF:Comprehensive ophthalmology,AK Khurana,4th edition,pg no.132.